True about transverse vaginal septum is all except
1. Can develop at any level within vagina.
2. Is associated with few urologic abnomalities.
3. High rate of endometriosis.
4. Clinically easily distinguished from imperforate hymen.

Correct answer: 4. Clinically easily distinguished from imperforate hymen.

Explanation: Transverse vaginal septum clinically presents with symptoms similar to those in imperforate hymen.